The 'Search lines' to detect fracture line on occipitamental radiographic view of midfacial skeleton fracture was described by
1. Rene Lefort and Guerin
2. McGrigor and Campbell
3. Andreason and Ravn
4. Rowe and Williams

Correct answer: 2. McGrigor and Campbell